In case of drowning in sea water:
1. Hemoglobin increases
2. Hemoglobin decreases
3. No change
4. Either may occur

Correct answer: 1. Hemoglobin increases

Explanation: Ans. Hemoglobin increases